The fingerprint pattern may be impaired permanently in cases of:
1. Eczema
2. Scalds
3. Scabies
4. Leprosy

Correct answer: 4. Leprosy

Explanation: Permanent impairment of the fingerprint pattern occurs in, Leprosy Electric injury After exposure to radiation Also know: Ridge alteration occurs in eczema, acanthosis nigricans, scleroderma, and dry or atrophic skin. In infantile paralysis, rickets and acromegaly, though the pattern is not altered, the distance between the ridges can be changed. In most cases of coeliac disease, there is moderate epidermal ridge atrophy and even loss of pattern. Incomplete atrophy of ridges is usually seen in dermatitis. Ref: Textbook of Forensic Medicine and Toxicology by K S Narayan Reddy, 27th edition, Page.